Mr. Y caused multiple Incised wounds on the face of Mr. Z by a Knife. Mr. Y is liable for arrest under which section of IPC?
1. 323
2. 324
3. 325
4. 326

Correct answer: 4. 326

Explanation: In the question, there is Grievous hurt (disfiguring of the face), caused by a dangerous weapon (Knife). Hence the section applicable is 326 IPC (Punishment for Grievous hurt by dangerous weapons) Dangerous weapon: Basically, any weapon of offense, which is likely to cause death can be considered as a dangerous weapon. It also depends upon facts of each case. The knife will certainly be a dangerous weapon in this case. Following items constitute dangerous weapon: Any instrument for shooting, stabbing or cutting or any instrument which, used as a weapon of offence, is likely to cause death, Fire or any heated substance, Any poison, Any explosive substance Any animal IPC Sections related to Hurt etc 319. Definition of Hurt (Any Bodily pain, Infirmity or Disease) 320. Definition of Grievous hurt. 321: Defines Voluntarily causing hurt 322: Defines Voluntarily causing Grievous hurt 323: Punishment for causing hurt: Up to 01 years, fine up to 1000 Rs 324: Punishment for causing Hurt by dangerous weapon: Up to 03 years, or fine 325: Punishment for causing Grievous hurt: Up to 07 years, and also fine. 326: Punishment for Grievous hurt by dangerous weapons: Imprisonment for life, or up to 10 yrs, and fine